Best drug for chronic gout in patient with renal impairment is -
1. Naproxen
2. Probenecid
3. Allopurinol
4. Sulfinpyrazone

Correct answer: 3. Allopurinol

Explanation: Ans. is 'c' i.e., Allopurinol o NSAIDs like naproxen have no role in chronic gout. o Uricosuric drugs like probenecid and sulfinpyrazone are ineffective in the presence of renal insufficiency. o Allopurinol is drug of choice for most cases of chronic gout.